Atropine is contraindicated in:
1. Early mushroom poisoning
2. Myasthenia gravis
3. Organophosphate poisoning
4. Glaucoma

Correct answer: 4. Glaucoma